"Orphan Annie nuclei" is seen in?
1. Medullary carcinoma of thyroid
2. Anaplastic carcinoma of thyroid
3. Papillary carcinoma of thyroid
4. Follicular carcinoma of thyroid

Correct answer: 3. Papillary carcinoma of thyroid

Explanation: Histologically, papillary carcinomas may exhibit papillary projections, a mixed pattern of papillary and follicular structures, or a pure follicular pattern (follicular variant). The diagnosis is established by characteristic nuclear cellular features. Cells are cuboidal with pale, abundant cytoplasm, crowded nuclei that may demonstrate "grooving," and intranuclear cytoplasmic inclusions leading to the designation of Orphan Annie nuclei, which allow diagnosis by FNAB. ref - Srb's manual of surgery 5e p481